Serotype 0117:K1:H7 is related to:
1. Mycobacterium TB
2. Mycobacterium leprae
3. E. coli
4. Klebsiella

Correct answer: 3. E. coli

Explanation: Ans. C i.e. E. coli E. coli MC cause for traveller's diarrhea: ETEC/Enterogenic E. coli Most of the cases of hemolytic uremic syndrome (HUS) are caused by: EHEC/ Enterohemorrhagic E. coli Important cause of infant diarrhea: EPEC/Enteropathogenic E. coli Only EPEC affects paediatric population, rest all strains can affect any age group Sereny test is positive in: EIEC/Enteroinvasive E. coli Special feature of EIEC: Non-motile, Non-lactose fermenting